Fluid flow in and out of the dentinal tubules is proportional to the tubule diameter by:
1. Third power of the diameter
2. Sixth power of the diameter
3. Square of diameter
4. Fourth power of diameter

Correct answer: 4. Fourth power of diameter

Explanation: Fluid flow in dentin tubules follows Poiseuille’s law as all tubular structures: